Which  of  the  following  phrase  adequately describes Pacinian corpuscles?
1. A type of pain receptors
2. Slowly adapting touch receptors
3. Rapidly adapting touch receptors
4. Located in the joints

Correct answer: 3. Rapidly adapting touch receptors

Explanation: Rapidly adapting touch receptors are: Pacinian corpuscle, Meissner’s corpuscle and hair end organ.